Potato tumor is
1. Rhinosporidiosis
2. Hypertrophied sebaceous gland
3. Nasopharyngeal angiofibroma
4. Tubercular infection

Correct answer: 2. Hypertrophied sebaceous gland

Explanation: Rhinophyma (Potato tumor)Rhinophyma is a benign tumor of the tip of the nose due to hypertrophy of sebaceous glandIt is caused by granulomatous infiltration and occurs as a complication of long-standing acne rosaceaAlcoholism is mistakenly attributed as a cause of this disease, but heavy alcohol consumption does aggravate the conditionThe usual presentation is due to cosmetic appearance or obstructionTreatment of choice is debulking of the tumor by carbon dioxide laserRef: PL Dhingra, Diseases of Ear, Nose & Throat, 7th edition, pg no. 161 - 162